Maternal serum Alpha Feto Protein (MSAFP) is raised in ail the following conditions except :
1. Spina bifida
2. Multiple pregnancy
3. Omphalocele
4. Down's syndrome

Correct answer: 4. Down's syndrome

Explanation: Down's syndrome